Nocturnal pruritis ani is characteristic of
1. Ascaris
2. Trichuris
3. Ancylostoma
4. Enterobius

Correct answer: 4. Enterobius

Explanation: Species Disease Form/Transmission Diagnosis Treatment Enterobius vermicularis PinwormLarge intestine,nocturnal perianalitching Eggs/person to personAutoinfection ** Cellophane tape prep of perianal area** Ova have flattened sidewith larvae inside Pyrantel, albendazoleTreat entire family Ref : Paniker's textbook of Medical Parasitology Pgno : 190-194